Splitted papule at corner of mouth
1. Recurrent herpes labialis
2. Recurrent herpetic stomatitis
3. Increased vertical dimension
4. Secondary syphilis

Correct answer: 4. Secondary syphilis